Longest acting LA is ?
1. Bupivacaine+ Etidocaine
2. Bupivacaine + lignocaine
3. Procaine + lidocaine
4. Bupivacaine + mepivacaine

Correct answer: 1. Bupivacaine+ Etidocaine

Explanation: Half life order - Bupivacaine> Etidocaine> Mepivacaine> Lignocaine.
Same will be the order of duration of action.